Oocyst of toxoplasma is found in -
1. Cat
2. Dog
3. Mosquito
4. Cow

Correct answer: 1. Cat

Explanation: Toxoplasma gondii: Oocysts is the sexual form of the parasite found in cats and felines. Definitive hosts -cat and other felines. Intermediate hosts - man and other mammals (goat, sheep) Transmission: MC mode: Ingestion of sporulated oocysts from contaminated soil, food, or water Ingestion of tissue cyst containing bradyzoites from undercooked meat Sporulated oocyst in cat's feces in saline mount . option-2- DOG-infected by echinococcus.